Total body water is -
1. 40% of body weight
2. 20% of body weight
3. 10% of body weight
4. 60% of body weight

Correct answer: 4. 60% of body weight

Explanation: Ans. is 'd' i.e., 60% of body weight Extracellular fluid (14 litres)* 20% of body weight* 33% of total body waterIntracellular fluid (ICF)Plasma * 3.5 litres* 5% of body weight* 8% of total body water* 25% of ECF* 28 litres* 40% of body weight* 67% of total body waterInterstitial fluid * 10.5 litres* 15% of body weight* 25% of total body water* 75% of ECF Total body water (42 litres)* 60% of body weight